All are about brucella except
1. B. abortus is capnophilic
2. Transmission by aerosol can occur occasionally
3. Paesturisation destroys it
4. 2ME is used to detect IgA

Correct answer: 4. 2ME is used to detect IgA

Explanation: 2ME is used to detect IgA Brucella is a wides pread zoonotic disease mainly seen in cattle sheep, goats, pigs and camels. - Brucella is strictly a parasite of animals. -No human to human transmission has been identified and infection in human occurs only by contact with infected animals or animal products. - The disease in the man is known as Malta fever, Mediterranean fever or undulant fever.